Increase in alpha-fetoprotein is seen in :
1. Hepatoblastoma
2. Neuroblastoma
3. Thymoma
4. Angiosarcoma

Correct answer: 1. Hepatoblastoma

Explanation: Answer is A (Hepatoblastoma): Hepatoblastoma is a malignant liver tumor of infancy i.e. typically associated with very high serum AFP levels. The lesions are usually solitary, may be resectable and have a better.five year survival than that of HCC.